Hemophilia is associated with-
1. X chromosome
2. Y chromosome
3. Chromosome 3
4. Chromosome 16

Correct answer: 1. X chromosome

Explanation: Ans. is 'a' i.e., X-chromosome o Hemophilia A is inherited as an X-linked recessive trait, and thus occurs in males and in homozygous females.